ICD-10 has how many chapters?
1. 5
2. 12
3. 22
4. 32

Correct answer: 3. 22

Explanation: ANSWER: (C) 22REF: style="font-size: 1.04761904761905em; font-family: Times New Roman, Times, serif; margin: 0 0 8pt 8px; text-indent: 0">Repeat from December 2009Remember Park 20th ed p. 46 has given only 21 chapters"ICD-10 was endorsed by the Forty-third World Health Assembly in May 1990 and came into use in WHO Member States as from 1994. ICD 10 has 22 chapters"International Statistical Classification of Diseases and Related Health Problems 10th RevisionChapterBlocksTitleIA00-B99Certain infectious and parasitic diseasesIIC00-D48NeoplasmsIIID50-D89Diseases of the blood and blood-forming organs and certain disorders involving the immune mechanismIVE00-E90Endocrine, nutritional and metabolic diseasesVF00-F99Mental and behavioural disordersVIG00-G99Diseases of the nervous systemVIIH00-H59Diseases of the eye and adnexaVIIIH60-H95Diseases of the ear and mastoid processIX100-199Diseases of the circulatory systemXJ00-J99Diseases of the respiratory systemXIK00-K93Diseases of the digestive systemXIIL00-L99Diseases of the skin and subcutaneous tissueXIIIM00-M99Diseases of the musculoskeletal system and connective tissueXIVN00-N99Diseases of the genitourinary systemXV000-099Pregnancy, childbirth and the puerperiumXVIP00-P96Certain conditions originating in the perinatal periodXVIIQ00-Q99Congenital malformations, deformations and chromosomal abnormalitiesXVIIIR00-R99Symptoms, signs and abnormal clinical and laboratory findings, not elsewhere classifiedXIXS00-T98Injury, poisoning and certain other consequences of external causesXXV01-Y98External causes of morbidity and mortalityXXIZ00-Z99Factors influencing health status and contact with health servicesXXIIU00-U99Codes for special purposes